Diabetes mellitus can lead to:
1. Vitreous haemorrhage
2. Rubeosis iridis
3. Retinal detachment
4. All

Correct answer: 4. All

Explanation: A i.e. Vitreous haemorrhage; B i.e. Rubeosis iridis; C i.e. Retinal detachment